A patient complains of knee pain Routine investigations are unremarkable and still the patient is unsatisfied Urine turns black on standing what is the enzyme involved
1. Homogentisate Oxidase
2. Xanthine oxidase
3. Phenylalanine hydroxylase
4. Dihydroorlate Dehydrogenase

Correct answer: 1. Homogentisate Oxidase

Explanation: REF : LIPPINCOTT 6TH ED